Specific reason to disallow the sample for culture -
1. Sample brought within 2 hr of collection
2. Sample brought in sterile plastic container
3. Sample brought in formalin
4. Sample obtained after cleaning the collection site

Correct answer: 3. Sample brought in formalin

Explanation: Sample brought in formalin are not allowed for culture,as it may loose it's characteristic properties specific to that organism. Ref ananthnarayana and panikers microbiology textbook